Antrochoanal polyp opens In which meant
1. Middle meatus
2. Superior meatus
3. Inferior meatus
4. Sphenoethmoidal recess

Correct answer: 1. Middle meatus

Explanation: ANTROCHOANAL POLYP most commonly seen in children.

They are unilateral, usually arises from the mucosa of maxillary antrum near its accessory ostium comes out of it & grows in the channel & nasal cavity.

Maxillary sinus opens into the middle meatus.